In primary pulmonary hypertension basic abnormality in gene lies in -
1. Bone morphogenetic protein receptor II
2. Endothelin
3. Homeobox gene
4. PAX-11

Correct answer: 1. Bone morphogenetic protein receptor II